Which of the following is NOT a constituent of Embalming fluid?
1. Ethanol
2. Phenol
3. Glycerine
4. Formalin

Correct answer: 1. Ethanol

Explanation: The usual constituents of embalming fluids are: Formalin 10% and Methanol 55% as preservatives Glycerine 20% as wetting agent Phenol 5% as germicide Water 10% as vehicle Embalming is the process of treating a dead body to achieve an antiseptic condition and preservation. Methods of embalming are : arterial embalming, cavity embalming, hypodermic embalming and surface embalming. Ref: Forensic Medicine By P.V. Guharaj, page 101.